In myocardial infarction, the infarct acquires hyperemic rim with a yellow centre at -
1. 3-7 days
2. 10-20 days
3. 7-14 days
4. 1-2 hours

Correct answer: 1. 3-7 days